Secondary oocyte contains -
1. 23, X
2. 46, XY
3. 46, XX
4. 23, Y

Correct answer: 1. 23, X

Explanation: Ans. is 'a'i.e., 23, X o OOGENESIS: